Drug effective against pseudomonas is :
1. Penicillin G
2. Gentamicin
3. Tetracycline
4. Chloramphenicol

Correct answer: 2. Gentamicin